Which is not a type HI hypersensitivity reaction
1. TB
2. Rheumatoid arthritis
3. SIF
4. Arthus reaction

Correct answer: 1. TB

Explanation: Ans. is 'a' i.e., Tuberculosis Tuberculosis is a delayed hypersensitivity or type IV hypersensitivity reaction.